Human anatomical waste should be disposed in-
1. Yellow bag
2. Red bag
3. Blue bag
4. Black bag

Correct answer: 1. Yellow bag

Explanation: Ans. is 'a' i.e., Yellow bag Color codeTreatmentWaste categoryYellow (Plastic bag)Incineration/Deep burial* Category 1 - Human anatomical waste* Category 2 - Animal waste* Category 3 - Microbiology and Biotechnology waste (cultures vaccines etc)* Category 6 - Infected solid waste contaminated with blood & fluidsRed (Disinfected container/ Plastic bag)Autoclaving/microwaving or chemical treatment* Category 3 - Microbiology & Biotechnology waste (culture vaccines etc).* Category 6 - Infected solid waste contaminated with blood & fluids* Category 7 - Infected solid waste other than sharps (tubing, cateters, gloves)Blue or White (Plastic bag/ puncture proof container)Autoclaving/microwaving or chemical treatment and destruction/shredding* Category 4 - Waste sharps (needles, syringes, scalples, blades etc)* Category 7 - Infected solid waste other than sharps (tubing, cateters, gloves)Black (Plastic bag)Disposal in secure landfill* Category 5 - Discarded secure medicines and cytotoxic drugs* Category 9 - Incineration Ash* Category 10 - Chemical wastes (chemicals used in production of biological, disinfection, insecticides etc)* All general waste including noninfectious waste (food wastes, papers, plastic covers)